In evaluation of a case of immotile nasal cilia, which of the following investigations should prove useful?
1. Rhinogram
2. Xray nasal and paranasal sinuses
3. Sweat sodium levels
4. Nitric oxide test

Correct answer: 4. Nitric oxide test

Explanation: Ans. is 'd' i.e., Nitric oxide test Screening tests for immotile cilia syndromeo Saccharine test : Saccharin or another substance is placed in the nose, and the speed of transport into the nasopharynx is measured to calculate mucociliary clearance (used infrequently because of awkwardness and dubious reliability).o Nitric oxide : Measuring exhaled nasal nitric oxide, which is mostly reduced in primary ciliary dyskinesia, is a good screening test for immotile-cilia syndrome with a good negative predictive value. Studies have demonstrated a relationship between nasal nitric oxide levels, nasal oxide synthase mRNA expression, and ciliary beat frequency. There is also a significant inverse correlation between the degree of aplasia and/or hypoplasia of the paranasal sinus and nasal nitric oxide values in primary ciliary dyskinesia patientso Mucociliary transport, which is reduced in these patients, can be measured in situ by administering an inhalation aerosol of colloid albumin tagged with technetium Tc 99.